The monophase elastomeric material can be used as both tray and syringe material because it has
1. A Long setting time
2. It is economical
3. Pseudo plastic properties
4. Better recording of tissues

Correct answer: 3. Pseudo plastic properties